HIV screening for blood transfusion is done by -
1. NACO
2. ASHA
3. Ministry' of education
4. None of the above

Correct answer: 1. NACO

Explanation: Ans. is 'a' t.e., NACO o Access to safe blood for the needy is the primary' responsibility of NACO (National AIDS control organization).o Guidelines for blood bank, blood donors and dialysis unit have been formulated.o The strategy is to ensure safe collection, processing, storage and distribution of blood and blood products.o Testing of every unit of blood is mandatory for - HIV; HBV, HCV, malaria, syphilis.